Professional secrecy can be divulged -
1. If the doctor feels so
2. On demand by a court
3. Both
4. None

Correct answer: 2. On demand by a court

Explanation: If a court of law demands, professional secrecy can be divulged as part of privileged communication.